In "bounce home" test of knee joint, end feel is described as all, EXCEPT:
1. Bony
2. Empty
3. Springy
4. Firm

Correct answer: 2. Empty

Explanation: Bounce home test can be used to detect tear of lateral meniscus. In this test the examiner holds the patients heel cupping around and passively extending the knee from a fully flexed position of hip and knee in supine. If the extension is not complete or has a rubbery end feel with elastic resistance to blocking full extension it indicates bucket handle type of meniscal tear. Springy bounce feeling is probably a pseudolock due to a possible muscle spasm. A firm hard end point is consistent with intrarticular adhesions or an osseus type lesion.